For conversion of asparatate to asparagine, nitrogen comes from -
1. Alanine
2. Glutamate
3. Glutamine
4. Histidine

Correct answer: 3. Glutamine

Explanation: Ans. is 'c' i.e., Glutamine o Synthesis of asparagine from aspartate is catalyzed by asparagine synthetase,o Donor of amide group (containing nitrogen) in this reaction is glutamine.